Regarding oxytocin, true statements are:
1. Acts on myoepithelial cells of breast
2. Causes contraction of uterus during labour
3. May cause retention of water
4. All of these

Correct answer: 4. All of these